Game Keeper's thumb is :
1. Ulnar collateral ligament injury of MCP Joint
2. Radial collateral ligament injury of MCP joint
3. Radial collateral ligament injury of CMC joint
4. Ulnar collateral ligament injury of CMC joint

Correct answer: 1. Ulnar collateral ligament injury of MCP Joint

Explanation: Injury to the ulnar collateral ligament of the thumb metacarpophalangeal joint is commonly referred to as gamekeeper's thumb or skier's thumb.
Injury occurs by fall on hand with forceful radial and palmar adduction of thumb as seen in skiers.
It is the most common injury of MCP joint.